What is the drug of choice to control supraventricular tachycardia-
1. Adenosine
2. Propranolol
3. Timolol
4. Digoxin

Correct answer: 1. Adenosine

Explanation: Supraventricular tachycardia is a common cardiac complication of pregnancy. Treatment is the same as in the nonpregnant patient, and fetal tolerance of medications such as adenosine and calcium channel blockers is acceptable. When necessary, pharmacologic or electric cardioversion may be performed to improve cardiac performance and reduce symptoms. This is generally well tolerated by mother and fetus. ref : ( Harrison's principle of internal medicine,20th edition,pg no.57 )